Persistence of Moro's reflex is abnormal beyond the age of –
1. 3rd month
2. 4th month
3. 5th month
4. 6th month

Correct answer: 4. 6th month

Explanation: "In a normal infant, the Moro's reflex begins to fade at three months of age and gradually disappears at 4-6 months.
When it persists beyond 6 months it indicates a delay in CNS development." ---------- Tachdjian
"Moro's reflex disappears by six months in a normal infant." ------------ Ghai